Muscle strained in athletic pubaigia is -
1. Rectus abdominis
2. Gluteus
3. Retus femoris
4. Quadriceps

Correct answer: 1. Rectus abdominis